Meyer cotton Grading system used for
1. Laryngocoele
2. Subglottic stenosis
3. Laryngomolocia
4. TB larynx

Correct answer: 2. Subglottic stenosis